Hilton method is best used in
1. Breast abscess
2. Axillary abscess
3. Paronychia
4. Pulp abscess

Correct answer: 2. Axillary abscess

Explanation: Answer- B. Axillary abscessHilton's method of abscess drainage is chosen when there are plenty of important structures like nerves and yessels around the abscess caity, like axilla. In this method incision is made only through the skin and subcutaneous tissue. The deep fascia is not incised.